First Sign of Pubertal devlopment in female is -
1. Enlargement of breast
2. Menarche
3. Appearance of pubic hair
4. Appearance of axillary' hair

Correct answer: 1. Enlargement of breast

Explanation: Ans. is Enlargement of breast o In male - Sequence of change 1. Growth of testes (> 3 ml in volume or & thinning of scrotum 2-5 cm in longest diameter) 2. Pigmentation of scrotum & growth of penis 3. Pubic hair 4. Axillary hair o In female - 1. Breast bud - First sign 2. Pubic hair 3. Menarche